Which mucopolysaccharides does not contain uronic acid?
1. Hyaluronic acid
2. Chondroitin sulfate
3. Dermatan sulfate
4. Keratan sulfate

Correct answer: 4. Keratan sulfate